Arthritis involving DIP, PIP, 1st carpometacarpal with sparing of MCP and wrist joints is typical of ?
1. Osteoarthritis
2. Rheumatoid arthritis
3. Ankylosing spondylitis
4. Psoriatic arthritis

Correct answer: 1. Osteoarthritis

Explanation: Ans. is 'a' i.e., Osteoarthritis